Medusa head colonies on nutrient agar is seen in -
1. Pneumococcus
2. Legionella
3. Brucella
4. Anthrax

Correct answer: 4. Anthrax

Explanation: Ans. is 'd' i.e., Anthrax * Important characteristics of B. anthracis : 'Inverted fir tree' appearance, 'frosted glass' appearance, medusahead colony, string of pearl's reaction, M' Fadyean's reaction.